Nephroureterectomy is indicated in?
1. Renal carcinoma
2. Chronic pyelonephritis
3. Polycystic kidney disease
4. Transitional carcinoma of the pelvis extending till ureter

Correct answer: 4. Transitional carcinoma of the pelvis extending till ureter

Explanation: ANSWER: (D) Transitional carcinoma of the pelvis extending till ureterREF: Sabiston 18th ed chapter 77The standard treatment of renal pelvis and upper ureteral urothelial carcinomas includes complete nephroureterectomy with excision of the distal ureteral cuff from the bladder